Minimum thickness of tissue conditioners should be
1. 2 mm
2. 1mm
3. 1.5 mm
4. 3 mm

Correct answer: 2. 1mm

Explanation: For these materials to be effective, a thickness of 1 mm or more is required. A new application is required every three to four days, till tissues have recovered. Proper P:L ratio should be followed to derive maximum benefit from their use.